Best anaesthesia for status asthmaticus –
1. Thiopentone
2. Ketamine
3. Ether
4. N2O

Correct answer: 2. Ketamine

Explanation: Ketamine causes bronchodilatation.